Intracellular sorting and packing is done in:
1. ER
2. Golgi apparatus
3. Ribosome
4. Nucleus

Correct answer: 2. Golgi apparatus

Explanation: Ans. (b) Golgi apparatus(Ref: Ganong, 25th ed/p44.)Major functions of Golgi apparatus are - sorting of proteins and post translational modification (glycosylation)